Miliaria is disorder of?
1. Eccrine
2. Apocrine
3. Sebaceous gland with hair follicle
4. Sebaceous without hair follicle

Correct answer: 1. Eccrine

Explanation: Miliaria is a disorder of the eccrine sweat glands due to ductal obstruction This is a common acute or subacute skin condition more in hot humid conditions leakage of sweat into the epidermis - miliaria crystallina and miliaria rubra leakage of sweat into the dermis - miliaria profunda Type of gland Eccrine Apocrine Duct Directly open over skin surface Open along with hair follicle Site Common everywhere Axilla Areola Groin Nerve Supply Cholinergic symphathetic Adrenergic symphathetic Disorder Anhidrosis, Hypohidrosis Bromhidrosis, Chromhidrosis, Fox Fordyce disease